Alma ata Con frernce was held in -
1. 1978
2. 1956
3. 1977
4. 1948

Correct answer: 1. 1978

Explanation: Ans. is 'a' i.e., 1978